Regarding Weber syndrome all are true EXCEPT
1. Involvement of dorsal midbrain
2. Contralateral hemiplegia
3. Ipsilateral occulomotor palsy
4. Contralateral parkinsonism

Correct answer: 1. Involvement of dorsal midbrain

Explanation: Weber Syndrome - involves damage to ventromedial brainstem (Posterior Cerebral Artery supplies this area) FEATURE : Oculomotor N. injury : Ipsilateral LMN oculomotor paralysis (down & out gaze) with wide fixed pupils Pyramidal system: Contralateral facial & hypoglossal paralysis ( corticonuclear & corticospinal tracts) C/L spastic hemiplegia Substantia nigra : Contralateral parkinsonism (rigidity, tremor)